Lactic acidosis in thiamine deficiency is due to which enzyme dysfunction?
1. Phosphoenol pyruvate carboxykinase
2. Pyruvate dehydrogenase
3. Pyruvate carboxylase
4. Aldolase

Correct answer: 2. Pyruvate dehydrogenase

Explanation: Ans. B. Pyruvate dehydrogenase(Ref: Harper 31/e page 138)In Thiamine deficiency, PDH reaction is defective. So Pyruvate is converted to lactic acid.Causes of inhibition PDH leading to lactic acidosisInherited PDH deficiency.Thiamin deficiency.Alcoholics due to thiamine deficiency.Arsenite and Mercury poisoning.